Pap smear of Lelawati 45-years female shows CIN grade III. Which of the following is the next step in management:
1. Punch biopsy
2. Large loop excision
3. Colposcopy directed biopsy
4. Cone biopsy

Correct answer: 3. Colposcopy directed biopsy

Explanation: Ans. is c, i.e. Colposcopy directed biopsyRef: CGDT 10th/ed, p837, 841; Harrison 17th/ed, p608; Williams Gynecology 1st/ed, p628, Table 29-6 William Gynae 3rd/ed, p629